A male with insulin-dependent diabetes and having macular edema develops glaucoma. Which drug should be used as the least resort to treat?
1. Alpha agonist
2. Prostaglandin analogue
3. Pilocarpine
4. Beta blocker

Correct answer: 2. Prostaglandin analogue

Explanation: Ans. B. Prostaglandin analoguesAlthough prostaglandin analogues are the first-line treatment for open angle glaucoma, these should not be given in case a patient with macular edema develops glaucoma. The reason for the same is maculopathy caused by prostaglandin analogues (can cause blurring of vision).Extra Edge: Other drugs causing maculopathy* Niacin* Griseofulvin* Thiazolidinediones* Tamoxifen* Clofazimine, chloroquine (Bulls' eye maculopathy)* PG analoguesDrugs used for treatment of macular degeneration* Monoclonal antibodies: Bevacizumab, Ranibizumab* Photodynamic therapy: Verteporfin* Steroids (Dexamethasone, Prednisolone)* I/V Methotrexate* Pegaptanib: PEGylated oligonucleotide that binds VEGF